ECT is most useful in:
1. Mania
2. Depression
3. OCD
4. Schizophrenia

Correct answer: 2. Depression

Explanation: B i.e. Depression